All enveloped helical RNA viruses belong to one large group, which includes all of the following except:
1. Influenza
2. Parainfluenza
3. Mumps
4. Herpes

Correct answer: 4. Herpes

Explanation: Ans. d. Herpes